All are true regarding interleukin-1 except ?
1. Primary source is monocyte-macrophage system
2. Endogenous pyrogens
3. Inhibit IL-2 production by T-cells
4. All are true

Correct answer: 3. Inhibit IL-2 production by T-cells

Explanation: Ans. is 'c' i.e., Inhibit IL-2 production by T-cells Interleukin -1 Also known as leucocyte activating factor (LAF) or B cell activating factor (BAF). Principally secreted by macrophages and monocytes; and epithelial cells. Other sources are B lymphocytes, fibroblasts and endothelial cells. Immunological effects- Activation of T cells for the production of IL - 2. B cell proliferation and antibody synthesis Neutrophil chemotaxis and increased PMN release from bone marrow. Increases body temperature (important endogenous pyrogen). Bone marrow cell proliferation Induction of acute phase protein.